Fallots tetralogy manifestation is a) Left axis deviation    b) Left ventricular hypertrophy  c) Ventricular Septal Defect  d) Blalock taussig shunt is between pulmonary artery
& subclavian artery  e) Morphine is contraindicated in cyanotic spells
1. abc
2. bd
3. cd
4. cde

Correct answer: 3. cd